Which of the following are not vitamin K dependent clotting factors
1. Factor II and IX
2. Factor V and V III
3. Factor IX and VII
4. Factor IX and X

Correct answer: 2. Factor V and V III

Explanation: Vitamin K dependent clotting factors are:
Factor II, Factor VII, Factor IX, Factor X, Protein C and Protein S.